Blastocyte comes out on which day after fertilization ?
1. 4-7 days
2. 10-12 days
3. 12-15 days
4. 15-20 days

Correct answer: 1. 4-7 days

Explanation: Ans. is 'a' i.e., 4-7 days Free floating unimplanted blastocyst is seen on 4-5 days.